Not a primary skin disease -
1. Lichen planus
2. Psoriasis
3. Reiter's disease
4. Vitiligo

Correct answer: 3. Reiter's disease

Explanation: Ans is 'c' i.e., Reiter's disease Reiter's diseaseo Reiter disease is primarily a nonpuruiant seronegative reactive arthritis following lowrer urogenital or enteric infection, secondarily involving skin and other organs.o When associated with conjunctivitis and urithritis, it is known as Reiter disease or Fiessenger-Leroy disease,o More common in people with HLA-B27.o Most common form of arthritis in young males.Two formsVenereal or endemic form winch follow's a sexually transmitted route or urithritis.Post dysentery or epidemic form which follow s enteric infection.Common clinical manifestations areo ArthriticAsymmetrical, oligoarticular, predilection for lower extremities, enthesitis, sacroilitiso GenitourinaryUrethritis, cervicitis, cystitis, hematuria, hydronephrosiso CutaneousKeratoderma blenorrhegicum, circinate balanitis, oral ulcerso OcularConjunctivitis, acute anterior uveitiso CardiacAortitis, heart blocko In joint fluid Reiter cells may be seen which are macrophages.o Treatment:- NSAIDs - indomethacin (doc) 75mg 2-3times a day, intralesional steroid injections, methotrexate, azathioprine, sulphasalzine are the other modes of treatment.